Which of the following antifungal drug have a broad antifungal spectrum:
1. Posaconazole
2. Miconazole
3. Ketoconazole
4. Clotrimazole

Correct answer: 1. Posaconazole

Explanation: Ans. A: Posaconazole Posaconazole is the broadest spectrum anti fungal azole, and the only one with consistent activity against the Mucorales.